Careless handling of a suspected case of cervical spine injury may result in -
1. Injury to the spinal cord leading to quadriparesis or quadriplegia
2. Intracranial haemorrhage with cerebral imtation of unconsciousness.
3. Cervical haematoma with compression of brachial vessels
4. Complete paralysis of the affected upper extremity

Correct answer: 1. Injury to the spinal cord leading to quadriparesis or quadriplegia

Explanation: Cervical spine should be immoblized because movement at cervical spine can cause further injury to cervical spinal cord which may result in quadriparesis or quadriplegia.